Substance for gluconeogenesis is
1. Glycogen
2. Acetyl CoA
3. Glycerol
4. Leucine

Correct answer: 3. Glycerol